A woman attends antenatal clinic with complaint mild pain in lower abdomen on left side, her periods are regular and UPT was positive at home. A TVS was done and uterine cavity is empty, and no adnexal mass is seen. Her serum beta HCG is 700 IU/L. what is the next step?
1. Give single dose of methotrexate
2. Perform laparoscopy
3. Perform serum beta HCG after 48 hr
4. Perform serum Beta HCG after 7 days

Correct answer: 3. Perform serum beta HCG after 48 hr

Explanation: Ans. C. Perform serum beta HCG after 48 hrThis is a case of pregnancy of unknown location. The beta HCG value is less than the discriminatory zone of 1500mIU/ml on TVS. "With these PULs, serial b-hCG level assays are done to identify patterns that indicate either a growing or failing IUP. Levels that rise or fall outside these expected parameters increase the concern for ectopic pregnancy. Thus, appropriately selected women with a possible ectopic pregnancy, but whose initial b-hCG level is below the discriminatory threshold, are seen 2 days later for further evaluation. Trends in levels aid diagnosis."